All of the following may be used to treat hypercalcemia, except:
1. Normal saline with forced diuresis with chlohiazide
2. Plicamycin
3. Gallium nitrate
4. Mitramycin

Correct answer: 1. Normal saline with forced diuresis with chlohiazide

Explanation: Answer is A (Normal saline with forced diuresis with Thiazides): Thiazide diuretics should not be used in cases of hypercalcemia as these may themselves cause hypercalcemia.